Which is not a heterophile agglutination test -
1. Weil Felix test
2. Widal test
3. Paul Bunnel test
4. Streptococcus MG

Correct answer: 2. Widal test

Explanation: Widal test is a tube agglutination test for the diagnosis of typhoid. Weil- Felix reaction for the diagnosis of typhus fever , streptococcus MG agglutination test for diagnosis of primary atypical pneumonia, Paul - Bunnell test for diagnosis of infectious mononucleosis aishheterophileagglutination test. The heterophile antigen is the same or closely related antigens occurring in different species, classes or kingdoms. Reference : Anathanarayan & paniker's 9th edition, pg no:109,89